Treatment of choice for pseudotumor
1. Methotrexate
2. Steroids
3. Intravenous antibiotics
4. Radiotherapy

Correct answer: 2. Steroids

Explanation: Steroids are the treatment of choice for pseudotumor Orbital Pseudotumor Most common cause of painful orbital mass, present like tumor histopathology - Polymorphous lymphoid infiltrate with varied amount of fibrosis Optic nerve compression may occur in massive posterior involvement May lead to frozen orbit in cases of chronic involvement and fibrosis More common seen unilaterally On MRI sequences it has both Muscle belly + Tendon involvement Rx: Oral prednisolone after confirmation is treatment of choice. Radiotherapy,methotrexate andTNF alpha inhibitors are used in recalcitrant cases